Miliary shadow on chest X-ray is not seen in:
1. Pneumoconiosis
2. Sarcoidosis
3. Tuberculosis
4. COPD

Correct answer: 4. COPD

Explanation: Ans. D: COPDConditions producing miliary shadows on chest X-ray:SarcoidosisSilicosis/pneumoconiosisExtrinsic allergic alveolitisLangerhans cell histiocytosisLymphangitis carcinomatosisMiliary tuberculosisMetastases